Choroidal neurovascularization is seen in all except aEUR'
1. Trauma
2. Angiod streak
3. Myopia
4. Hypermetropia

Correct answer: 4. Hypermetropia

Explanation: Hypermetropia Choroidal neurovascularization (CNV) It is inappropriate ingrowth of blood vessels and accompanying cellular infiltrate originating in the choroid & it extends through Bruch's membrane to proliferate under retina, the retinal pigment epithelium or both. It is a common end stage process in a number of different diseases leading to severe visual loss. Conditions associated with it are ? - Age-related macular degeneration (ARMD)-most significant - Angioid streaks Choroidal rupture (trauma) - Pathological myopia - Chorioretinal scars - baraocular inflammation - Chorioretinal dystrophy Signs & symptoms? - Decreased central visual activity - Metamorphosia (apparent distortion of objects) - Intraretinal, subretinal pigment epithelium hemorrhage - Macular oedema - Subretinal.fluid Associated features ? - Lipid exudation - Detachment of the retinal pigment epithelium - Retinal pigment epithelium tear - Scarring Diagnosis - Diagnosis of CNV is done by fluorescein angiography with indocyanine green angiography Treatment options - Laser photo coagulation - Photodynamic therapy - Radiation (external beam radiotherapy) - Surgery (submacular surgery) - Pharmacological therapy - Intravitreal triamcinolone (long standing steroid)